Rabies virus
1. Cytotropic
2. Dermatotropic
3. Chromophilic
4. Neurotropic

Correct answer: 4. Neurotropic